Characteristics of SIRS include all of the following EXCEPT:
1. Leukocytosis
2. Thrombocytopenia
3. Infectious or non-infectious cause
4. Oral temperature more than 380C

Correct answer: 2. Thrombocytopenia

Explanation: Ans. B i.e. Thrombocytopenia